Sunflower cataract is caused by
1. Siderosis
2. Chalcosis
3. Lead intoxication
4. Silicosis

Correct answer: 2. Chalcosis

Explanation: Chalcosis is copper alloy in the eye Refer: Khurana 6th edition page number 194